Immediate treatment of choice for severe hypotension in Dengue shock syndrome?
1. IV crystalloids
2. Dexamethasone
3. Noradrenaline
4. Dopamine

Correct answer: 1. IV crystalloids

Explanation: Dengue hemorrhagic fever, a rare complication of dengue fever, characterized by high fever, damage to lymph and blood vessels, bleeding from the nose and gums, enlargement of the liver, and failure of the circulatory system. The symptoms may progress to massive bleeding, shock, and death. This is called dengue shock syndrome (DSS). Here plasma volume replacement is most urgent, IV crystalloids are used for that purpose.